An 18 year old boy came to the Psychiatry OPD with a complaint of feeling changed from inside. He described himself as feeling strange as if he is different from his normal self. He was very tense and anxious yet could not point out the precise change in him. This phenomena is best called as -
1. Delusional mood
2. Depersonalization
3. Autochthonous delusion
4. Over valued idea

Correct answer: 2. Depersonalization

Explanation: Feeling strange as if different from oneself, i.e. feeling of detached from self is seen in depersonalization disorder.